All of the following is given for the treatment for Pityriasis versicoler Except:
1. Ketoconazole
2. Griseofulvin
3. Clotrimazole
4. Selenium sulphate

Correct answer: 2. Griseofulvin

Explanation: B i.e. Griseofulvin